Drug of choice for actinomycosis:
1. Penicillin
2. Sulfonamides
3. Tetracycline
4. Azithromycin

Correct answer: 1. Penicillin

Explanation: 78. Ans: a (Penicillin) Ref: Harrison's, 16th ed, p. 939; 17th ed, p. 998Treatment of actinomycosis is intravenous administration of of penicillin 18-24 million units daily for 2- 6 weeks, followed by oral therapy with penicillin or amoxicillin (total duration. 6-12 months). This is a reasonable guideline for serious infections and bulky disease. Less extensive disease, particularly that involving the oral-cervicofacial region, may be cured with a shorter course.